The availability for orthodontic treatment depends on
1. Severity & extent of periodontal lesions
2. Amount of bone available
3. Prognosis of periodontal lesions without ortho treatment
4. All of the above

Correct answer: 4. All of the above